True about decorticate rigidity?
1. Removal of cerebral cortex and basal ganglia
2. Flexion of lower limbs & extension of upperlimbs
3. Rigidity is less pronounced than decerebrate rigidity
4. None of the above

Correct answer: 3. Rigidity is less pronounced than decerebrate rigidity

Explanation: Decorticate Rigidity Made by removing whole cerebral cortex but leaving basal ganglia intact. Characterised by flexion of upper extremities at elbow & extension of lower extremities. Flexion due to rubrospinal tract excitation of flexors in upper extremities & hyperextension of lower extremity. Decorticate animal doesnot have intense hypertonia as decerebrate animal.Due to intact basal ganglia in decorticate animal. Ref: Guyton and Hall Textbook of Medical Physiology 13th edition Pgno: 682